In which of the brushing techniques, the bristles are placed at 45 degree angulation facing the occlusal surfaces of teeth?
1. Modified bass technique
2. Bass technique
3. Fones technique
4. Charters technique

Correct answer: 4. Charters technique